Drug of choice for juvenile myoclonic epilepsy is ?
1. Phenytoin
2. Lamotrigine
3. Valproate
4. Zonisamide

Correct answer: 3. Valproate

Explanation: Valproate is the drug of choice for myoclonic epilepsy and is required life long.